Delusion of grandiosity seen in -a) Hypomaniab) Schizoaffective maniac) Paranoid schizophreniad) Kleptomaniae) Pyromania
1. a
2. bc
3. ac
4. ad

Correct answer: 2. bc

Explanation: Grandiose delusions or delusions of grandiosity (expansive delusions) are seen in mania (including schizoaffective mania), Schizophrenia and organic states.